Drug used in the treatment of Congestive Heart Failure is
1. ACE inhibitor
2. Beta blocker
3. Art blocker
4. All the above

Correct answer: 4. All the above

Explanation: (D) All the above# First-line therapy for all heart failure patients is angiotensin-converting enzyme (ACE) inhibition. ACE inhibitors (i.e., enalapril, captopril, lisinopril, ramipril) improve survival and quality of life. If the patient is intolerant to ACEI they are replaced by ARB's.> Diuretics have been a mainstay of treatment for treatment of fluid accumulation, and include classes of diuretics such as loop diuretics, thiazide-like diuretic, and potassium-sparing diuretic.> Beta blockers are not given in acute heart failure as it exaggerates heart failure but given in chronic management, bisoprolol, carvedilol, metoprolol are usually used.